Investigation of choice for blunt trauma abdomen in unstable patient -
1. X-ray abdomen
2. USG
3. Diagnostic Peritoneal lavage (DPL)
4. MRI

Correct answer: 2. USG